What is the osmolarity of urine the influence of ADH?
1. 50 mOsmol / L
2. 800 mOsmol / L
3. 1200 mOsmol / L
4. 500 mOsmol / L

Correct answer: 3. 1200 mOsmol / L

Explanation: ADH will increase water reabsorption into medulla,making low volume,concentrated urine of 1200 - 14000 mOsmol / L
Urine osmolarity in absence of ADH is 30 - 50 mOsmol / L